Pupil is small in all of the following except:
1. During sleep
2. Adie's pupil
3. Argyll Robertson pupil
4. Pontine haemorrhage

Correct answer: 2. Adie's pupil

Explanation: Ans. Adie's pupil